HTLV extra gene is -
1. Gag
2. Pol
3. Env
4. Px

Correct answer: 4. Px